Magnan's phenomenon occurs in addiction of:
1. Alcohol
2. Cocaine
3. LSD
4. Opiates

Correct answer: 2. Cocaine

Explanation: Cocaine